Alcohol is metabolized by ?
1. Alcohol dehydrogenase
2. MEOS
3. Catalase
4. All of the above

Correct answer: 4. All of the above

Explanation: Ethyl alcohol (ethanol) is readily absorbed from GIT and degraded by oxidation (oxidative process).Liver is the major site for ethanol oxidation.At least three enzyme systems are capable of ethanol oxidation :-i) Alcohol dehydrogenase (ADH) - Major pathwayii) Microsomal ethanol oxidising system (MEOS) : It involves cytochrome P450.iii) Catalase of peroxisomes.The product of all three oxidation pathways is acetaldehyde, which is rapidly oxidized to acetate by aldehyde dehydrogenase (ALDH).